Better prognostic factor for operation of biliary duct obstruction in newborn are -a) No passage of bileb) Size of ductule > 200 micronc) Weight of baby > 3 kgd) Preterm babye) Age of 8 weeks
1. ab
2. be
3. bc
4. ce

Correct answer: 2. be